Which drug is recommended for prevention of mother to child transmission of HIV infection ?
1. Didanosine
2. Nevirapine
3. Indinavir
4. Nelfinavir

Correct answer: 2. Nevirapine

Explanation: ART in special situations (Pregnancy) Nevirapine is the drug that prevents mother to child transmission . All pregnant women should have HIV testing at an early stage in pregnancy. The CD4 count falls by about 25% during pregnancy due to haemodilution. The course of HIV disease progression is not altered by pregnancy. In the pre-ART era, the rate of mother-to-child transmission was 15-40%, with rates being influenced by several factors .ART has dramatically reduced the risk of mother-to-child transmission of HIV to less than 1%. All pregnant women should start ART at the beginning of the second trimester, unless they have advanced disease, when ART should be started in the first trimester. Caesarean section is associated with a lower risk of mother- to-child transmission than vaginal delivery, but the mode of delivery does not affect transmission risk if the viral load is suppressed on ART. HIV is also transmitted by breastfeeding. In high-income countries, exclusive formula feeding is generally recommended. In resource-poor settings, however, formula feeding is associated with a risk of infant morbidity and mortality, which may negate the benefit of not transmitting HIV to the infant. There is minimal risk of transmitting HIV by breastfeeding in women with a suppressed viral load on ART. Furthermore, providing antiretrovirals to infants (usually nevirapine monotherapy) while they are breastfeeding has been shown to reduce the risk of transmission. Breastfeeding is therefore now encouraged in resource-poor settings. Infants should be exclusively breastfed for the first 6 months, as mixed feeding (with formula or solids) is associated with a higher risk of transmission. Diagnosis of HIV in infancy requires the detection of HIV RNA by RTPCR, as maternal antibodies to HIV, which persist for up to 15 months, will give a false-positive result on antibody assays. RTPCR should ideally be carried out within 6 weeks of birth to facilitate early ART initiation. If the baby is breastfed, the RTPCR should be repeated 2 weeks after weaning. Ref Harrison 20th edition pg 879